Test to detect contamination of mustard oil with argemone oil?
1. Sulphuric acid test
2. Nitric acid test
3. Chromic acid test
4. All of the above

Correct answer: 2. Nitric acid test